Ptosis with lid lag is seen in:
1. Traumatic ptosis
2. Myogenic ptosis
3. Synkinesis
4. Congenital ptosis

Correct answer: 4. Congenital ptosis

Explanation: Ans. Congenital ptosis